A 30-year-old patient presented with a history of jaundice for 10 days. His liver function tests showed bilirubin of 10 mg/dl, SGOT/SGPT - 1100/1450, serum alkaline phosphatase -240 IU. He was positive for Hbs Ag. What should be the confirmatory test to established acute hepatitis B infection -
1. IgM ant i-HBc antibody
2. Hbe Ag
3. HBV DNV by PCR
4. Anti-HBc antibody

Correct answer: 1. IgM ant i-HBc antibody

Explanation: AntiHBc is the earliest marker seen in blood particularly REF:MICROBIOLOGY ANANTHA NARAYANAN NINTH EDITION PAGE.546